Cells cultured from an infant suffering from hypotonia and seizures show impaired ability to oxidize very long chain fatty acids and phytanic acid. which cell organelle is defective in the infant
1. Lysosomes
2. Mitochondria
3. Peroxisomes
4. Proteosomes

Correct answer: 3. Peroxisomes

Explanation: Oxidation of very long chain fatty acids and phytanic acid takes place via a special form of beta oxidation that takes place in peroxisomes. Normally beta oxidation takes place inside mitochondria.